Meralgia paresthetica involves?
1. Lateral cutaneous nerve of thigh
2. Forearm
3. Radial nerve
4. Cutaneous branches of obturator nerve

Correct answer: 1. Lateral cutaneous nerve of thigh

Explanation: ANSWER: (A) Lateral cutaneous nerve of thighREF: Differential diagnosis in neurology and neurosurgery: a clinician's pocket guide Page 243Repeat Orthopedics December 2009